A 20 year old young girl, presents with history of rapidly developing hirsutism and amenorrhea with change in voice. To establish a diagnosis you would like to proceed with which of the following tests in blood :
1. 17 OH progesterone
2. DHEA
3. Testosterone
4. LH + FSH estimation

Correct answer: 3. Testosterone

Explanation: Ans. is c i.e. Testosterone "Specifically women with an abrupt onset, typically within several months or sudden worsening of virilising signs should prompt concern for a hormone producing ovjarian or adrenal tumor. Serum testosterone levels may be used to exclude these tumours." Rapidly developing hirsutism with amenorrhoea and change in voice is suggestive of masculinizing tumour like Arrhenoblastoma or androblastoma which are invariably associated with raised testosterone (T > 200 ng / dl).